A 5 year boy with history of atopy has multiple asymptomatic oval and circular faintly hypopigmented macules with fine scaling on his face. What is he suffering from?
1. Pityriasis alba
2. Acrofacial vitiligo
3. Pityriasis versicolor
4. Indeterminate leprosy

Correct answer: 1. Pityriasis alba

Explanation: The child in the question is suffering from Pityriasis Alba. It is characterised by the presence of hypopigmented scaly macules of variable size. It is commonly found in the cheek of children and is self limiting. Topical steroids/ tacrolimus may have a role in certain cases, but is not usually necessary. Ref: Clinical Manual of Emergency Pediatrics By Ellen F. Crain, 5th Edition, Page 130.